Percentage of monozygotic twins with schizophrenia
1. 0.10%
2. 1%
3. 10%
4. 50%

Correct answer: 4. 50%

Explanation: Monozygotic twin → 46-50%; and Dizygotic twin → 12%.